A hypertensive primigravida with completely subsided pre-eclamptic features, pregnancy should be continued at least upto:
1. 35 week
2. 37 week
3. 39 week
4. 40 week

Correct answer: 2. 37 week

Explanation: Ans. B: 37 week If the pre-eclamptic features are completely controlled: - If the duration of the pregnancy is remote far from term, she should be discharged with the advice to attend antenatal clinic s regularly. - If the patient is near term, she should be kept for a few days till completion of 37'h week. If the pre-eclamptic features are partially controlled but BP maintains a steady high level then: - If pregnancy is beyond 37 completed weeks, termination is to be considered without delay. If less than 37 weeks, then expectant treatment may be extended judiciously at least upto 34 weeks. Termination of pregnancy irrespective of the duration of gestation is carried out if BP is persistently raised to a severe level despite medications.